Autistic disorder is characterized by all of the following, Except
1. Visual impairment
2. Lack of Social Interaction
3. Delayed development of Speech
4. Stereotypic movements

Correct answer: 1. Visual impairment

Explanation: A i.e. Visual impairmentAutism is a pervasive developmental disorder caused predominantly by biologicalQ (& sometimes immunological, genetic, biochemical, perinatal etc) factors. It is characterized by impaired neurobehavioural development that is evident before the age of 3 yearsQ and presents with Abnormal or delayed development of selective social attachments (or reciprocal social interaction), social communication (non verbal or verbal i.e. receptive or expressive) and symbolic (imaginative or functional) playQ Restricted, repetitive and stereotyped patterns of behaviour, interests and activitiesQ.Rett's syndrome seen almost (but not always) exclusively in girlsQ is characterized by apperantly normal initial (prenatal, perinatal and very early i.e. upto -5months) development which means infants have age appropriate motor skills, normal head circumference, growth and excepted reciprocal social interactions. After initial normal development, usually b/w 6 months- 2 years development begins to slow or actually regress and various motor problems start to develop such as:?purposeful hand movements lost and (replaced by) characteristic stereotypic mrdline hand movements (hand washing / wringing, licking or bitting of finger & tapping or slapping) loss of previously acquired speech and decrease in head growth (lit microcephaly) and social skills poor muscle coordination, ataxia, apraxic-unsteady- stiff gait, seizures (in 75%), EEG changes, irregular respiration with episodes of hyperventilation, apnea, & breath holdingQ (mostly while awake), scoliosis, bruxism, & spasticity Childhood disintegrative disorder (psychosis) or dementia infantilis or Heller's syndrome is characterized by a relative prolonged period (atleast 2 years) of normal development followed by a marked developmental regression and development of various autistic featuresQ. Onset is typically b/w 3 & 4 years. Once established, it resembles autism, however the outcome is even worse. So the child who was normally socially related, spoke in full sentences, and was toilet trained becomes indifferent to social interaction, losses all expressive language, and toilet skills and remains mute & relatively low functioningAsperger's syndrome is characterized by impairments in social interaction and restricted interests and behaviours as seen in autism. However, unlike autistic disorder, in Asperger's syndrome early development is marked by lack of any clinically significant delay in spoken or receptive language, cognitive development, self help skills, and curiosity aboutthe environment. Patient often exhibits a some what eccentric style (rather than more passive or aloof social style of autism). For example they may engage others in very one sided conversations about their area of special interest, overly reliant on rigid rules and may fail to see the forest for the trees in social matters (eg an appreciation exactly when the usual rules do not apply is as important as when they do). It is typical for patient to amass considerable factual information about their topic of interest, which they pursue with great intensity and the family life mayrevolve around the topic of special interest. Motor delay (clumsiness), persistent motor awkwardness & limited ability to appreciate nuances (finer details) with eccentric interest, normal cognition (intelligence) & language more commonly in males is usual presentation.Colard's syndrome is paranoia with delusion of negation, sucidal tendency & sensory disturbances.